Tylosis refers to
1. Inward misdirection of eye lashes
2. Adhesion of lids with eyeball
3. Chronic infection of lid margin
4. Hypertrophy and drooping of eyelid

Correct answer: 4. Hypertrophy and drooping of eyelid